Foramen Transversarium transmit
1. Inferior jugular vein
2. Inferior petrosal sinus
3. Sigmoid sinus
4. Vertebral artery

Correct answer: 4. Vertebral artery

Explanation: Foramen transversarium transmits 1st, 2nd, part of the vertebral artery which is present in the cervical vertebra Ref: Gray's 40e/p-250-251